Which personality disorder of DSM-IV is not classified as PD and is placed with schizophrenia in ICD 10?
1. Schizoid
2. Paranoid
3. Narcissistic
4. Schizotypal

Correct answer: 4. Schizotypal

Explanation: In ICD-10, schizotypal PD is placed with schizophrenia spectrum and not in personality disorder. As it is a type of cluster A PD which are considered to be on a schizophrenia continuum.